A patient of rheumatoid arthritis presents with progressive quadri-paresis and weakness, Babinsky sign was positive, increased muscle tone of limbs with exaggerated tendon jerks and worsening of gait with no sensory, sphincter involvement. Best initial investigation is-
1. X-ray of cervical area of neck in flexion and extension
2. MRI brain
3. EMG and NCV within 48 hours
4. Carotid angiography

Correct answer: 1. X-ray of cervical area of neck in flexion and extension